Cholera prophylaxis is by -
1. Doxycycline 300mg OD
2. Cephalosporin
3. Streptomycin
4. Cotrimoxazole

Correct answer: 1. Doxycycline 300mg OD

Explanation: A single oral dose of doxycycline (300mg for adults and 6mg/kg for children under 15 years) has proved to be effective for chemoprophylaxis of cholera. Ref: PARK'S TEXTBOOK OF PREVENTIVE AND SOCIAL MEDICINE 23rd edition , Page 233